Pulmonary eosinophilic pneumonia associated witha) Loeffler syndromeb) Cystic fibrosisc) Churg strauss syndromed) Hypersensitivity pneumonitise) Allergic bronchopulmonary aspergillosis (ABPA)
1. acd
2. bde
3. cde
4. ace

Correct answer: 4. ace